Primordial prevention is done in population -
1. With risk factors
2. Without risk factors
3. Whole population with low prevalence of disease
4. Population with disease

Correct answer: 2. Without risk factors

Explanation: In primordial prevention, action is taken prior to emergence of risk factor, i.e. action is taken in population which has not developed risk factor.